The cell most sensitive to radiotherapy:
1. Neutrophil
2. Lymphocyte
3. Monocyte
4. Platelet

Correct answer: 2. Lymphocyte

Explanation: Lymphocyte